Newer monoclonal antibody approved for rheumatoid arthritis is:
1. Durvalumab
2. Pembrolizumab
3. Nivolumab
4. Sarilumab

Correct answer: 4. Sarilumab

Explanation: Sarilumab: Monoclonal antibody against IL6, used for rheumatoid arthritis. Six - SARILUMAB - monoclonal antibody | Interleukin Durvalumab: Monoclonal antibody for urothelial carcinoma. DURVALUMAB - Urothelial Ca Nivolumab/Sarilumab: Monoclonal antibody for non small cell lung cancer(NSCLC). Durvalumab, Nivolumab, Sarilumab: Target program death ligand of T cell. T cell get activated and kills cancer cells.